Consider the following conditions ? 1) Urinary flow rate less than lOcc / second 2) Residual volume of urine > 100cc 3) Serum level of prostatic specific antigen > 10 mmol / litre 4) Trabeculated urinary bladder Which of the above are indications of TRUP for BHP?
1. 1,2 and 3
2. 2,3 and 4
3. 1,2 and 4
4. 1, 3 and 4

Correct answer: 3. 1,2 and 4

Explanation: Ans. is 'c' i.e., 1, 2 and 4